All of the following are causes of Rhabdomyolysis and myoglobinuria, Except:
1. Hyperpyrexia
2. Viper snake venom
3. Hyperthyroidism
4. Multiple Hornet Stings

Correct answer: 3. Hyperthyroidism

Explanation: Answer is C (Hyperthyroidism) Hypothyroidism is a cause for Rhabdomyolysis and not hyperthyroidism Metabolic causes of Rhabdomyolysis: Hypokalcemia Hypophosphatemia Hypothyroidism (Myxoedema) Diabetic ketoacidosis Diabetic hyperosmolar non ketotic coma Hereditary muscle enzyme deficiencies Carnitine deficiency